The normal range of serum osmolarity is
1. 350-375
2. 200-250
3. 270-285
4. 300-320

Correct answer: 3. 270-285

Explanation: Normal serum osmolarity ranges from 275 to 295 mOsm/L It is used to monitor hyponatremia,and other conditions Reference : guyton and hall12 Ed pg no: 45,46,47